About cushing syndrome, true Is -
1. Low dose dexamethasone suppress cortisone secretion
2. CA of adrenal is more common than adenoma
3. Pituitary adenoma size > 2 cm (usually)
4. ACTH secretion is the commonest cause

Correct answer: 4. ACTH secretion is the commonest cause

Explanation: most cases the cause is bilateral adrenal hyperplasia due to hyper secretion of pituitary ACTH or ectopic production of ACTH by a non pituitary source ( Harrison 17 pg 2255)